Function of kasturba memorial fund is
1. Relief work
2. Lepra work
3. Tuberculosis work
4. Women development

Correct answer: 4. Women development

Explanation: Created in 1944, the fund was raised with the main objective of improving a lot of women, especially in the villages, through gram-sevikasPark 23e pg: 916